HHV-6 causes ?
1. Erythema infectiosum
2. Kaposi sarcoma
3. Roseola infantum
4. Herpangina

Correct answer: 3. Roseola infantum

Explanation: Ans. is 'c' i.e., Roseola infantum